A newborn with 46XX has external genitalia of a male, All the following are the possible cause except
1. Anti-mullerian hormone deficiency
2. Placental aromatase deficiency
3. Maternal androgen adrenal tumor
4. Wnt4 mutation

Correct answer: 1. Anti-mullerian hormone deficiency

Explanation: AMH

It is a peptide formed by granulosa cells of primordial follicles
It cause Mullerian duct regression during male sex differentiation
AMH levels reflect the number of growing follicles in the ovary and help in oocyte maturation and follicular development
Low levels of AMH is seen in rising of FSH and E2 levels and also with increasing age of women